Which of the following developmental milestones is first to happen?
1. Mirror play
2. Crawling
3. Creeping
4. Pincer grasp

Correct answer: 1. Mirror play

Explanation: Mirror play develops at the earliest, from the given options. Mirror play - 6 months Crawling/Creeping - 11 months Pincer Grasp - 9 months Ref: Essential Pediatrics, OP Ghai - 6th Edition, Page 44